In Turner syndrome all are seen except?
1. Intellectual disability
2. 45, XO
3. Webbed neck
4. Short stature

Correct answer: 1. Intellectual disability

Explanation: a. Intellectual disability(Ref: Nelson's 20/e p 2744-2746)Features of Turner Syndrome: "See there is A Baby CLOWN"S: Short stature. Sensorineural hearing loss, Short 4th metacarpalA: Amenorrhea primaryB: Barr body absentC: Cardiac anomaliesL: Lymphoedema, Low thyroidO: Ovaries under developed (streak ovaries)W: Webbed neckN: Nipples widely placed